Which of the following bone tumor present secondaries in lung with pneumothorax:
1. Osteosarcoma
2. Ewing's sarcoma
3. Osteoclastoma
4. Chondroblastoma

Correct answer: 1. Osteosarcoma

Explanation: Both osteogenic sarcoma and Ewing's sarcomamay have metastasis to lung. It is much more common in osteogenic sarcoma and about 10% of patients have pulmonary metastasis by the time they are first seen. Incidence of pneumothorax is higher in osteosarcoma metastasis.